True regarding SA-14-14-2 Japanese Encephalitis vaccine:
1. Cell culture derived live attenuated
2. Killed vaccine
3. Life long immunity
4. Primary schedule consist of 3 doses

Correct answer: 1. Cell culture derived live attenuated

Explanation: - SA 14-14-2 vaccine of JE: Live attenuated cell-culture derived vaccine. - 2 doses of JE Live vaccine: First dose : 9-12 months. Second dose =16-24 months. Gives protection for 11 years - Nakayama, Beijing P3 are strains of killed JE vaccine - EXTRA-EDGE: DIFFERENT VACCINES & THEIR STRAINS VACCINE STRAIN BCG Danish 1331 OPV P1, P2, P3 Measles Edmonston zagreb, schwarez, Moraten Mumps Jeryll Lynn Rubella RA 27/3 Yellow fever 17D Varicella Oka H1N1 A7/ California/2009 Rabies fixed viral strain Anthrax Sterne strain